Alternate contact points along shaft are seen in
1. K3
2. RACE
3. Real World Endo
4. Light speed

Correct answer: 3. Real World Endo

Explanation: The blank design employed by the Endo Sequence file is a triangle with alternating contact points (ACP) along the instrument's ,hunk. The Endo Sequence file undergoes electropolishing and the result is visible in its mirror-like finish that remains sharper longer and mays cleaner during use.
About RACE:
Design of the reamer with alternating  cutting edges (RACE): twisted areas alternate with straight parts. The NM surface is treated chemically resulting in an obviously smoother surface than other instruments.
About 3:

Positive rake angle
Variable helical flute angle
Peripheral blade relief
Third radial land
Variable core diameter
Safe-ended tip
Wide radial lands

About Lightspeed:
The LightSpeed root canal instrument has a noncutting tip and a short blade. The shaft is smooth, nontapered and very flexible. Instruments have physical resemblance with Gates Glidden drills. Also remember that term '12 peck e is associated with lightspeed instruments.